Which of the following type of Le Fort fracture is known as craniofacial disjunction?
1. Le Fort I
2. Le Fort II
3. Le Fort III
4. None of the above

Correct answer: 3. Le Fort III

Explanation: Le Fort I fractures occur transversely across the alveolus, above the level of the teeth apices. In a pure Le Fort I fracture, the palatal vault is mobile while the nasal pyramid and orbital rims are stable. The Le Fort II fracture extends through the nasofrontal buttress, medial wall of the orbit, across the infraorbital rim, and through the zygomaticomaxillary articulation. The nasal dorsum, palate, and medial part of the infraorbital rim are mobile. The Le Fort III fracture is also known as craniofacial disjunction. Ref: Schwartz's principle of surgery 9th edition, chapter 18.